The list of all units in a population is called:-
1. Random sampling
2. Sampling Frame
3. Bias
4. Parameter

Correct answer: 2. Sampling Frame

Explanation: The listing of the accessible population from which sample is drawn is called the Sampling frame. If you were doing a phone survey and selecting names from the telephone book, the book would be your sampling frame. The frame should contain all the units of the population under consideration, the target population .